Which of the following drug used in gout act by converting uric acid into allantoin ?
1. Colchicine
2. Allopurinol
3. Probenacid
4. Rasburicase

Correct answer: 4. Rasburicase

Explanation: Ans: D. RasburicaseDrugs increasing metabolism of uric acid:Urate oxidase metabolizes insoluble uric acid to soluble allantoin in the birds'.This enzyme is absent in humans.Rasburicase (a recombinant urate oxidase) is used for this Purpose.PEGylateil uricase (pegloticase) is another similar drug.